All of the follow ing are fluent aphasia's except-
1. Anomic aphasia
2. Wernicke's aphasia
3. Conduction aphasia
4. Broca's aphasia

Correct answer: 4. Broca's aphasia

Explanation: Ans. is 'd' i.e., Broca's aphasia Aohasia||Non-Fluent AphasiasFluent Aphasiaso Globalo Broca so Mixed Transcorticalo Transcortical Motoro Anomico Wernickeso Conductiono Transcortical Sensory?